Defect in renal glucosuria-
1. a) GLUT 1
2. b) GLUT 2
3. c) SGLT 1
4. d) SGLT 2

Correct answer: 4. d) SGLT 2

Explanation: Renal Glucosuria- Isolated glucosuria in the presence of a normal blood glucose concentration is due to mutations in SLC5A2, the gene that encodes the high-capacity sodium - glucose co-transporter SGLT2 in the proximal renal tubule.